Earliest lesion seen in asbestosis is:
1. Pleural plaques
2. Hilar lymphadenopathy
3. Adenoma lung
4. Mesothelioma

Correct answer: 1. Pleural plaques

Explanation: It is the most common manifestation of asbestosis exposure composed of plaques of dense collagen containing calcium.they are usually asymptomatic and develop on anteroir and postereolateral parts of parietal pleura and over diaphragm.(ref Robbins 9/e p691)